Not an Ideal Candidate for insertion of IUCD
1. Have normal menstrual periods
2. No history of PID
3. Has at least one child
4. Cancer Cervix

Correct answer: 4. Cancer Cervix

Explanation: The Ideal IUCD candidateThe planned parenthood federation of America has described the ideal IUCD candidate as a woman:who has born at least one childhas no history of pelvic diseaseis willing to check the IUCD tailhas access to follow up and treatment of potential problems, andis in a monogamous relationshipRef: Park pg no: 497